Fusion of palpebral and bulbar conjunctiva is-
1. Symblepharon
2. Trichiasis
3. Ectropion
4. Tylosis

Correct answer: 1. Symblepharon

Explanation: *Adhesion of the lids to eyeball is called symblepharon. It occurs due to fusion of palpebral conjunctiva (covering inner surface of lid) to bulbar conjunctiva (covering outer surface of eyeball).